Which of the following Human papilloma virus subtypes are not covered by Quadrivalent Anti- cervical cancer vaccine?
1. Type 6
2. Type 7
3. Type 11
4. Type 16

Correct answer: 2. Type 7

Explanation: HPV VACCINE : - Quadrivalent vaccine - Gardasil - Protects against strains 6 ,11,16 & 18. - Bivalent vaccine - Cervarix - Protects against strains 16,18 - These prevent cervical insitu neoplasia grade 2, 3 & adenocarcinoma in situ - Gardasil also prevents serotype related genital was, vaginal & vulvar intraepithelial neoplasia - Both vaccines are immunogenic at 9-14yrs of age & protection persists for atleast 5yrs